Reynold Braude phenomenon is seen in:
1. Candida albicans
2. Candida parapsilosis
3. Histoplasma
4. Cryptococcus

Correct answer: 1. Candida albicans

Explanation: Ans. is 'a' i.e., Candida albicansGerm tube test: Culture inoculated in sheep or human serum and incubated at 37degC for 2-4 hours. A drop of suspension examined under microscope. Long tube like projections extending from yeast cell (true hypha). There is no constriction at the point of attachment. Called as Reynolds-Braude phenomenon.